Imiquimod is administered by which route:
1. Topical
2. Inhalation
3. Intranasal
4. None of the above

Correct answer: 1. Topical

Explanation: Imiquimod is an immune response modifier shown to be effective in the topical treatment of external genital and perianal was Ref: Katzung 11th edition Chapter 49.